Which of the following is not present in Deep perineal pouch ?
1. Bartholin's gland
2. Bulbourethral glands
3. Dorsal nerve of penis
4. Sphincter urethrae

Correct answer: 1. Bartholin's gland

Explanation: Great vestibular gland (Bartholin's gland) is a component of superficial perineal pouch.